Which of the following is a component of good sleep hygiene?
1. Arise at the same time daily
2. Eat larger meals near bedtime
3. Take daytime naps as needed
4. Establish physical fitness with exercise in the evening

Correct answer: 1. Arise at the same time daily

Explanation: Ans. A. Arise at the same time dailyA common finding is that a patient's lifestyle leads to sleep disturbance. This is usually phrased as inadequate sleep hygiene, referring to a problem in following generally accepted practices to aid sleep. These practices include, for instance, keeping regular hours of bedtime and arousal, avoiding excessive caffeine, not eating heavy meals before bedtime, and getting adequate exercise (exercise during the day, not in the evening, because it may disturb sleep).In general, napping is discouraged except in elderly and debilitated patients. Two caveats are in order when helping to educate a patient about sleep hygiene. The first is that these are general principles and are not applicable to all patients.The second is that when trying to modify a patient's behavior, it is usually better to focus on one or two changes at a time, rather than assaulting him or her with panoply of desired changes, which can come across as overwhelming.